Cantrell pentology include all except ?
1. VSD
2. ASD
3. TOF
4. Trisomy 21

Correct answer: 4. Trisomy 21

Explanation: Ans. is d i.e., Trisomy 21 o Pentalogy of Cantrell is named after James R. Cantrell, a pediatric surgeon . The pentalogy of Cantrell is an extremely rare phenomenon with an incidence estimated at around 6 per million live births. o It encompasses the following 5 main features. i) Pericardial or distal sternal cleft ii) Supraumbilical omphalocele iii) Diaphragmatic hernia iv) Defect in apical pericardium causing ectopia cordia (Abnormal location of heart). v) Congenital intracardiac defects (VSD, ASD, Tetralogy of fallot, Left ventricular diverticulum).